Enteropathogenic E. coli -
1. Causes acute gastroenteritis in infants
2. Invades intestinal epithilium
3. Produces cholera like toxin
4. It is Non-motile

Correct answer: 1. Causes acute gastroenteritis in infants

Explanation: Ans. is 'a' i.e., Causes acute gastroenteritis in infants